Kiesselbach's plexus is situated on the :
1. Medial wall of the middle ear
2. Lateral wall of the naso-pharynx
3. Medial wall of the nasal cavity
4. Laryngeal aspect of epiglottis

Correct answer: 3. Medial wall of the nasal cavity

Explanation: Kiesselbach's plexus or Little's area is along the caudal nasal septum which forms the medial wall of nasal septum. It is the site of anastomosis of spheno palatine, greater palatine, anterior ethmoid and superior labial artery. It is the most common site of occurrence of epistaxis. Woodruff's plexus is an area on the lateral nasal wall below the inferior turbinate where the sphenopalatine artery enters the nasal cavity. Nasal septum consists of nasal septal cartilage, nasal crest of maxilla, nasal crest of palatine bone, vomer and perpendicular plate of the ethmoid. Lateral nasal wall is formed by prominent nasal turbinates.